Because of circle of least diffusion, the distant vision is comparatively good in:
1. Simple myopic astigmatism
2. Compound myopic astigmatism
3. Mixed astigmatism
4. Compound hypermetropic astigmatism

Correct answer: 3. Mixed astigmatism

Explanation: Ans. Mixed astigmatism